All the following are the process of palatine bone except
1. Pyramidal process
2. Orbital process
3. Sphenoidal process
4. Palatine process

Correct answer: 4. Palatine process

Explanation: Each palatine bone resembles the letter L, and consists of a horizontal and a perpendicular plate and three outstanding processes, the pyramidal process, the orbital and the sphenoidal process, Reference: Chourasia; 6th edition; 48th page